Which of the following indicators help differentiate neurosis from psychosis?
1. Insight
2. Severity
3. Duration
4. Clinical features

Correct answer: 1. Insight

Explanation: Lack of insight is 'unawareness of the illness'. People with a psychotic disorder like Schizophrenia, often lacks insight into the symptoms, diagnosis or the need for taking help. However in neurotic disorders like anxiety and depression, people are aware of the suffering and are usually willing to accept the diagnosis. Lack of insight makes the treatment much difficult and may require admission to hospital.